A 40 year old presenting with dizziness on standing with systolic reduction of BP of 50mm Hg;appropriate treatment -a) Graded compression stockingsb) Salbutamolc) Fludrocortisoned) β-blockers
1. a
2. bc
3. ac
4. b

Correct answer: 3. ac